All are seen in Thalasemia major except:
1. Transfusion dependency
2. Splenoheptatomegaly
3. Ineffective erythropoiesis
4. Macrocytic anaemia

Correct answer: 4. Macrocytic anaemia

Explanation: -Thalassemia is associated with microcytic and hypochromic anemia,not macrocytic anemia. - Remaining all features given in the options are associated with thalassemia.